Capsule Endoscopy-False statement is
1. Sedation Not Required
2. Painless Procedure
3. Visualize Entire small Bowel
4. Suitable For Patients With Stricture Bowel

Correct answer: 4. Suitable For Patients With Stricture Bowel

Explanation: Ans. (d) Suitable For Patients With Stricture Bowel(Ref: Bailey and Love 26th edition Page 205)* Capsule Endoscopy is not suitable for patients with strictures.